All of the following cinical features are seen in acute intermittent porphyria, EXCEPT:
1. Abdominal pain
2. Photosensitivity
3. Seizures
4. Constipation

Correct answer: 2. Photosensitivity

Explanation: Photosensitivity of porphyrias is due to the accumulation of porphyrins which can absorb light. However, in Acute intermittent porphyria metabolic block is earlier to the production of porphyrins. Porphobilinogen accumulated in this condition do not contain a conjugated double bond system so it can't absorb light. So, there is no photosensitivity In Acute intermittent porphyria, the accumulation of ALA and PBG block the action of GABA hence produce neurological symptoms such as excitation of visceral pain fibers leading to acute pain crisis, abdominal pain, vomiting, constipation, hypertension and tachycardia